Gum hypertrophy is seen in which type of AML -
1. M1
2. M2
3. M3
4. M4

Correct answer: 4. M4